The subtype of Hodking's disease, which is histogentically distinct from all the other subtypes, is?
1. Lymphocyte predominant
2. Nodular sclerosis
3. Mixed cellularity
4. Lymphocyte depleted

Correct answer: 1. Lymphocyte predominant

Explanation: Answer is A (Lymphocyte predominant) Lymphocyte predominant Hodgkin's disease is now recognized as an entity distinct from classical hodgkin's disease. Nodular Lymphocyte predominant hodgkins disease has a number of characteristic that suggest its relationship to Non-Hodgkins lymphoma.